Most useful supraglottc airway device in abdominal surgery
1. FAST-trach LMA
2. PROSEAL LMA
3. SLIPA
4. C TRACH LMA

Correct answer: 2. PROSEAL LMA

Explanation: LMA benefits to a greater number of patients we developed the ProSeal LMA. The added features of theProSeal LMA include:A softer silicone cuff reducing the likelihood of throat irritation and stimulationHigh seal pressure - up to 30 cm H20 - Providing a tighter seal against the glottc opening with no increase in mucosal pressureProvides more airway securityEnables use of PPV in those cases where it may be required - transient or extended, planned or unplannedA built-in drain tube designed to channel fluid away and permit gastric access for patients with GERD or during extended cases where endotracheal intubation is not requiredAbility to realize the benefits of spontaneous ventilation more oftenOptional Insertion tool